"Basal-like" carcinoma of breast can be identified as:
1. ER -ve; HER2 -ve
2. ER +ve; HER2 -ve
3. HER2 +ve
4. ER +ve; HER2 +ve

Correct answer: 1. ER -ve; HER2 -ve